Ramu, a 8 year old boy presents with upper GI bleeding. On examination, he is found to have splenomegaly; there are no signs of ascites, or hepatomegaly; esophageal varices are found on UGIE Most likely diagnosis is –
1. Budd chiari syndrome
2. Non cirrhotic portal hypertension
3. Cirrhosis
4. Veno–occlusive disease

Correct answer: 2. Non cirrhotic portal hypertension

Explanation: Clues in this question are -


Upper GI bleeding from esophageal varices      (iii) No ascites or hepatomegaly
Splenomegaly   (iv) No jaundice


All these indicate Non-cirrhotic portal hypertension.
Two most common causes of extrahepatic portal hypertension are

(0 NCPF seen in adults
(ii) EHPVO --> seen in children

So, this is a case of non-cirrhotic portal hypertension due to EHPVO. 
About other options -
In Budd-chiari syndrome (Hepatic vein thrombosis) and venocclusive disease, there will be hepatomegaly, jaundice and ascites.
In cirrhosis, jaundice and ascites will be seen.